Endolymph is secreted by
1. Stria vascularis
2. Basilar membrane
3. Cochlear duct
4. Hensen cell

Correct answer: 1. Stria vascularis

Explanation: - Vestibule is the central chainberQ. All three semicircular canals (SCCs) form 2/3rd of a circle and are set at right (90deg) anglesQ to each other. 3 SCCs have only 5 openingsQ into the vestibule. Anterior & posterior SCCs are vertical and lateral SCC is horizontalQ.Apex of conical modiolus of cochlea (& axis of TM) is directed anterolaterally & inferiorlyQ. Hollow spiral canal around it makes 2.5 (21/2) turnsQ with basal turn having biggest radiusQ.- Endolymph is secreted by secretory cells of stria vascularis of cochleaQ & dark cells in utricle.